Drug of choice in Acute central anticholinergic syndrome is -
1. Neostigmine
2. Physostigmine
3. Tacrine
4. 4-amino pyridine

Correct answer: 2. Physostigmine

Explanation: Ans. is 'b' i.e., Physostigmine Physostigmine penetrates blood-brain barrier and antagonizes both central and peripheral actions of anticholinergics in acute anticholinergic poisoning (belladonna poisoning). About other options o Neostigmine does not cross blood brain barrier. Thus it is ineffective for central anticholinergic actions. o Tacrine is used for chronic central anti-cholinergic syndrome (Alzhiemer's disease).